Which of the following has highest electrophoretic mobility and least lipid content?
1. Chylomicrons
2. HDL
3. LDL
4. VLDL

Correct answer: 2. HDL

Explanation: Ans. B. HDL(Ref: Harper 31/e page 237, Table 25-1)HDLAlpha lipoproteinLeast diameterMaximum electrophoretic mobility.Maximum protein content.Least lipid contentCarry cholesterol from peripheral tissues to liver and other steroidogenic tissuesThis is called reverse cholesterol transportThis makes HDL cholesterol "the good cholesterol"The major role of HDL is to acts as the repository for apo C and apo E required for the metabolism of VLDL and chylomicron.